All are true about burtonian line except:-
1. Bluish deposits
2. Deposition of Lead acetate granules
3. Over decayed teeth only
4. Seen in saturnism

Correct answer: 2. Deposition of Lead acetate granules

Explanation: Burtonian line (A stippled blue line) :- It is seen in chronic lead poisoning called plumbism or saturnism. It is due to formation of lead sulphide by action of H2S formed by decomposed food in the mouth. It is seen on the gums in 50 to 70% of cases. It appears due to subepithelial deposit of granules at the junction with teeth, only near dirty or carious teeth.